Ramesh presented with bronchodilatation, increased temperature, constipation and tachycardia. Probable diagnosis is poisoning with:
1. Mushroom
2. Atropine
3. Arsenic
4. Organophosphorus

Correct answer: 2. Atropine

Explanation: Ans. Atropine